Botulinum affects all except -
1. Neuromuscular junction
2. Preganglionic junction
3. Post ganglionic nerves
4. CNS

Correct answer: 4. CNS